Cohort study is better than case control study in all ways except -
1. Greater comparability
2. Lesser time spent
3. Prospective analysis
4. Less Bias

Correct answer: 2. Lesser time spent

Explanation: Ans. is 'b' i.e., Lesser time spent o Cohort study is more time consuming. o Cohort study is prospective study. o Chances of bias are high in case-control study.